While investigating an epidemic, search for more cases is continued till what period ?
1. Twice the incubation period of the disease since occurrence of the last case
2. Thrice the incubation period of the disease since occurrence of the case
3. The longest incubation period for the disease
4. Incubation period for the disease plus two standard deviations

Correct answer: 1. Twice the incubation period of the disease since occurrence of the last case